A 25-year-old man presents to rheumatologist with complaints of joint pain involving large joints of legs which exacerbates frequently accompanied by diarrhea. Which of the following gastrointestinal diseases is most likely to be implicated as the cause of the patient's joint problems?
1. Amebic colitis
2. Chronic appendicitis
3. Diverticulosis
4. Ulcerative colitis

Correct answer: 4. Ulcerative colitis

Explanation: - Most frequent GIT disorder associated with sacroiliitis (related to HLA-B27) or lower limb arthritis is chronic inflammatory bowel diseases like ulcerative colitis & Crohn's disease. - Other GI diseases associated with arthropathy are Whipple's disease, Behcet's syndrome, and celiac disease.